Episotomy extended posteriorly beyond perineal body injuring structure posterior to it, which structure is injured?
1. External anal sphincter
2. Ishiocavernous
3. Bulbospongiosus
4. Urethral sphincter

Correct answer: 1. External anal sphincter

Explanation: Episotomy extended posteriorly beyond perineal body will injure External anal sphincter. Extension of the incision in median episiotomy involve the rectal mucosa. structures attaching on perineal body Bulbospongiosus: anteriorly, surrounding urethra and vaginal opening Transverse perinei: laterally External anal spincter: posteriorly, surrounding anal opening.